Lalloo, 50 years old, a chronic smoker, presents with history of hemoptysis. He was having truncal obesity and hypertension. He had an elevated ACTH level which was not suppressive with high dose dexamethasone. What would be the most probable diagnosis
1. Bilateral adrenal hyperplasia
2. Adrenal adenoma
3. Pituitary tumour
4. Ectopic| ACTH producing lung cancer

Correct answer: 4. Ectopic| ACTH producing lung cancer

Explanation: ectopic increase in ACTH is not suppressed by high dose of dexamethasone ( Harrison 17 pg 2256 )